Which vein is preferable for coronary by pass grafting-
1. Saphenous vein
2. Short saphenous vein
3. Epigastric vessels
4. Radial artery

Correct answer: 1. Saphenous vein

Explanation: Ans. is 'a' i.e., Saphenous vein o Most common conduits used is greater saphenous vein. Ideal characteristics of a saphenous vein conduit are that it should be atleast having diameter of 3.5 mm and free from any varicosity or areas of structure,o If the saphenous vein is inadequate or unavailable^ short saphenous vein can be used,o Other conduits for CABG :* Internal mammary artery- (Left or right) - Preferred arterial conduits for LAD - Patency rate > 90% at 10 years* Radial artery * Gastroepiploic artery * Inferior epigastric arteries